Inhibitory neurotransmitter of central nervous system is:
1. Aspartate
2. Gamma-aminobutyric acid
3. Glutamate
4. Acetylcholine

Correct answer: 2. Gamma-aminobutyric acid

Explanation: Ans. B. Gamma-aminobutyric acidGAMMA-AMINOBUTYRIC ACID is an inhibitory neurotransmitter found in brain and retina which is responsible for presynaptic inhibition.